Not a cause of congenital cataract:
1. Trisomy 21
2. Stickler syndrome
3. Lowe's syndrome
4. Marfan's syndrome

Correct answer: 4. Marfan's syndrome

Explanation: Marfan's syndrome is associated with subluxation of lens as a result of zonular weakness and not congenital cataract. Cataract may develop earlier in the subluxated lens as compared to others of same age but not congenital cataract. Stickler Syndrome is associated with quadrantic lamellar cataract though less common. CAUSES OF CONGENITAL CATARACT: Maternal malnutrition, infantile malnutrition- (Zonular cataract). Maternal infection e.g. (like rubella, toxoplasmosis, CMV). Placental hemorrhage. Drugs :Thalidomide, Corticosteroid. Congenital Syndromes: Down's, Hallerman Streiff, Lowe, Galactosemia, trisomy 13-15, cockayne, Trisomy 21, Goldenhar, Cerebro oculo facial syndrome. Congenital condition like Aniridia.